Air bronchogram indicates
1. Intrapulmonary pathology
2. Pleural pathology
3. Mediastinal pathology
4. All the above

Correct answer: 1. Intrapulmonary pathology

Explanation: Air bronchogram indicates Intrapulmonary pathology.
It excludes any pleural and mediastinal pathology.